Coomb's positive hemolytic anemia associated with-
1. TTP
2. PAN
3. SLE
4. HUS

Correct answer: 3. SLE